RET gene mutation is associated with which malignancy
1. Pheochromocytoma
2. Medullary carcinoma thyroid
3. Lymphoma
4. Renal cell carcinoma

Correct answer: 2. Medullary carcinoma thyroid

Explanation: Ref Robbins 8/e p280,9/e p284 The RET protein is a receptor for the glial cell line derived neurotrophic factor and structurally related proteins that promote cell survival ring neural development .RET is normally expressed in neuroendocrine cells, such as parafollicular C cells of the thyroid ,adrenal medulla ,and parafollicular cell precursor .point mutations in the RET proto oncogenes are associated with dominatnly inherited MEN types 2A and 2B and familial medullary thyroid carcinoma RET gene mutation is more commonly associated with medullary thyroid cancer than pheochromocytoma